All of the following are true about zygomatic bone fracture except:
1. Also known as Tripod fracture
2. Best diagnosed by X-ray Water's view
3. Associated with flattening of malar prominence
4. Treatment of choice is open reduction and internal fixation

Correct answer: 2. Best diagnosed by X-ray Water's view

Explanation: ZYGOMATIC BONE FRACUTURE - MC fracture of the middle third of the face (Nose> zygomatic bone) - Also known as tripod fracture, because the zygoma is fractured at 3 processes - X-ray water's view-Diagnosis - CT scan: best for diagnosis of zygomatic bone fracture. Treatment - Only displaced fractures require treatment - Treatment of choice: Open reduction and internal fixation